Parsonage-Turner syndrome is associated with all except
1. Neuralgic amyotrophy
2. Affects mainly lower motor neurons of brachial plexus
3. MRI assists in diagnosis
4. Permanent Disability

Correct answer: 4. Permanent Disability

Explanation: (D) Permanent disability# PARSONAGE-TURNER SYNDROME is also known as acute brachial neuropathy and acute brachial radiculitis. Other names used are Parsonage-Aldren-Turner syndrome, neuralgic amyotrophy, brachial neuritis, brachial plexus neuropathy, or brachial plexitis. The idiopathic syndrome refers to a rare set of symptoms resulting from inflammation of unknown etiology of the brachial plexus. (The brachial plexus is a complex network of nerves through which impulses reach the arms, shoulders and chest.)> This syndrome can begin with severe shoulder or arm pain followed by weakness and numbness. Those who suffer from Parson- age-Turner experience acute, sudden-onset pain radiating from the shoulder to the upper arm. Affected muscles become weak and atrophied, and in advanced cases, paralyzed.> Parsonage-Turner syndrome (PTS) is a rare syndrome of unknown cause, affecting mainly the lower motor neurons of the brachial plexus. The brachial plexus is a group of nerves that conduct signals from the spine to the shoulder, arm, and hand PTS is usually characterized by the sudden onset of severe one-sided shoulder pain, followed by paralysis of the shoulder and lack of muscle control in the arm, wrist, or hand several days later. The syndrome can vary greatly in presentation and nerve involvement.> PTS characterized by inflammation of a network of nerves that control and supply (innervate) the muscles of the chest, shoulders, and arms. Individuals with the condition first experience severe pain across the shoulder and upper arm. Within a few hours or days, weakness, wasting (atrophy), and paralysis may affect the muscles of the shoulder.> MRI may assist in diagnosis.> Prognosis: Despite its wasting and at times long-lasting effects, most cases resolve themselves and recovery is usually good in 18-24 months. Although individuals with the condition may experience paralysis of the affected areas for months or, in some cases, years, recovery is usually eventually complete.